How many mm from the limbus is the safest site of intravitreal injection?
1. 1-2 mm
2. 2-3 mm
3. 3-4 mm
4. 4-5 mm

Correct answer: 3. 3-4 mm

Explanation: (Refer: AK Khurana Comprehensive Ophthalmology, 6th edition, pg no. 171)Intravitreal injection (distance from Limbus)For aphakics-3mmFor pseudophakes-3.5mmFor phakics-4mm